Designated microscopy centre for TB under RNTCP is installed per
1. 50,000 population
2. 1,00,000 population
3. 20,000 population
4. 2,00,000 population

Correct answer: 2. 1,00,000 population

Explanation: Designated microscopy centre - 1 / 1,00,000 population and 
Tuberculosis unit - 1 / 2,00,000 population and .